The Lorothidol added in non-eugenol paste has the
function of
1. Bacteriostatic
2. Fungicide
3. Accelerator
4. Preservative

Correct answer: 2. Fungicide